Which of the following is the derivative of tumor from Rathke's pouch?
1. Meningioma
2. Craniopharyngioma
3. Ependymoma
4. Low grade glioma

Correct answer: 2. Craniopharyngioma

Explanation: Ans. B CraniopharyngiomaRef: Grays Anatomy E-Book 2015 ed. P 431* In embryogenesis Rathke's pouch is an evagination at the roof of the developing mouth in front of buccopharyngeal membrane. It gives rise to anterior pituitary (adenohypophysis).* Craniopharyngioma are benign cystic lesions derived from Rathke's pouch, most frequently in children. It is associated with hypopituitarism, growth retardation and diabetes insipidus.* Clinical features:# Raised ICT# Presents before 20 years of age# Visual field abnormalities# Weight gain# Cranial nerve damage* Investigation: MRI is superior to CT.